"Child guidance clinic" is most helpful in all except
1. Bed Wetting
2. Cerebral palsy
3. Squint
4. School adjustment problems

Correct answer: 3. Squint

Explanation: C Squint * Child guidance clinic was started in 1922, as part of a programme sponsored by a private organization 'Common Wealth fund's Programme' for the prevention of juvenile delinquency. * The first CGC was started in India in 1939 at the TATA Institute Mumbai. The CGC in Delhi was started in 1955 at RAK con, simultaneously with madras. * Child guidance clinic are specialized clinics that deal with children of normal and abnormal intelligence, exhibiting a range of behaviors and psychological problems which are summed up as maladjustments OBJECTIVES: * Providing help for children with behavioral problem like pica, bed-wetting, sleep walking, speech defects etc * Providing care and guidance for children with intellectual disability * Providing care for children with learning difficulties * Providing counseling, guidance and information to parents regarding care and upbringing of children